Which of the following is not a histopathologic feature of Alzheimer's disease?
1. Neurofibrillary tangles
2. Senile (neuritic) plaques
3. Amyloid Angiopathy
4. Lewy bodies

Correct answer: 4. Lewy bodies

Explanation: Alzheimers disease is the most common cause of dementia in the elderly. Microscopically there are neuritic plaques containing ab amyloid, neurofibrillary tangles composed of hyperphosphorylated Tau filaments and accumulation of amyloid in blood vessel walls in cortex and leptomeninges. AD Often presents with an insidious onset of memory loss followed by a slowly progressive dementia over several years. Pathologically, there is atrophy of the medial temporal lobes, as well as lateral and medial parietal lobes and lateral frontal cortex. AD is associated with a decrease in the cortical levels of several proteins and neurotransmitters, especially acetylcholine, its synthetic enzyme choline acetyltransferase, and nicotinic cholinergic receptors. Ref: Harrison's Internal Medicine, 18th Edition, Page 3305, Chapter 360, 371 and 372